Reperfusion injury is due to?
1. Ischemia
2. Oxidative stress
3. Toxins
4. Temperature change

Correct answer: 2. Oxidative stress

Explanation: Ans. is 'b' i.e., Oxidative stress Reperfusion injury* Reperfusion injury is caused by reestablishment of blood supply which was hampered initially, i.e. injury caused when perfusion is reestablished: 'reperfusion'.* Reperfusion of ischemic tissues is often associated with microvascular injury, particularly due to increased permeability of capillaries and arterioles that lead to an increase of diffusion and fluid filtration across the tissues. Activated endothelial cells produce more reactive oxygen species but less nitric oxide following reperfusion, and the imbalance results in a subsequent inflammatory response* Free radicals which are produced by recruited neutrophils also add to it.* Reperfusion injury is characteristically seen in myocardium (heart) appearing as contraction bands after myocardial infarction. Reperfusion injury can also occur in brain.